Which of the following is a Tuberculid infection that is characterized by involvement of the sweat glands and hair follicles by causing non caseating epitheloid granulomas?
1. Lupus Vulgaris
2. Papulonecrotic Type
3. Miliary Tuberculosis
4. Lichen Scrofulosorum

Correct answer: 4. Lichen Scrofulosorum

Explanation: In the above given condition, the presence of non-caseating epethelioid granulomas which are localized around the hair follicles and sweat ducts, definitely points the diagnosis towards "Lichen Scrofulosorum". Lichen Scrofulosorum is the most common form of tuberculid infection. Papulonecrotic tuberculid infection often presents with central necrosis but are not typically localized to the hair follicles and sweat ducts. Miliary tuberculosis and Lupus vulgaris are not Tuberculid infections. Ref: Skin Pathology By Weedon and Strutton, 2nd Edition, Page 627; Mycobacterial Skin Diseases By Harahap, 1989, Pages 26-27; Atlas of Dermatology in Internal Medicine By Nestor P. Sanchez, 1st Edition, Pages 23-26